Which index of obesity does not include height?
1. BMI
2. Ponderal's index
3. Broca's index
4. Corpulence index

Correct answer: 4. Corpulence index

Explanation: Ref: Park 25th edition Pgno : 418